Which among the following drug is safest in a patient allergic to penicillin:
1. Cephalexin
2. Imipennem
3. Cefepime
4. Aztreonam

Correct answer: 4. Aztreonam

Explanation: Aztreonam